All the following diseases are associated with triplet and other repeat sequences except
1. Huntington's disease
2. Friedreich's ataxia
3. Myotonic dystrophy
4. Hereditary motor-sensory neuropathy

Correct answer: 4. Hereditary motor-sensory neuropathy

Explanation: Disease Nucleotide Repeat Gene affected Chromosome Fragile X syndrome CGG FMR1 Sex X chromosome Friedrich ataxia GAA FXN 9 Huntington's disease CAG HTT 4 Myotonic dystrophy - type 1 CTG DMPK 19 Reference: GHAI Essential pediatrics, 8th edition